The sequence that targets protein to lysosmoes
1. Glucose 6 - phosphate
2. Mannose 6 - phosphate
3. Ribose 5 - Phosphate
4. Fructose 1 - phosphate

Correct answer: 2. Mannose 6 - phosphate

Explanation: Mannose 6 - phosphate acts as a tag for the proteins to reach lysosomes. Defects in the process of tagging  this sequence to protein result in I - Cell disease.